Person always has sexual thoughts & unacceptable sexual desire. He became a painter & picturized his thoughts by making nude paintings and sold them. This is an example of
1. Acting out
2. Intellectualization
3. Sublimation
4. Inhibition

Correct answer: 3. Sublimation

Explanation: Sublimation is a maure defense mechanism where unacceptable feelings are expressed in a socially acceptable manner.